The main aim of an adjuvant is to increase -
1. Distribution
2. Absorption
3. Antigenicity
4. Metabolism

Correct answer: 3. Antigenicity

Explanation: Adjuvant is any substance that enhances the immunogenicity of an antigen. Adjuvant may confer immunogenicity on non antigenic substance, increase the concentration and persistence of the circulating antibody, induce or enhance the degree of cellular immunity and leads to production of adjuvant diseases such as allergic disseminated encephalomyelitis. Reference : Anathanarayan & paniker's 9th edition, pg no: 150